Charcoat's joint includes all of the following except-
1. Syringomyelia
2. Leprosy
3. Diabetes
4. Arthrogryposis multiplex congenita

Correct answer: 4. Arthrogryposis multiplex congenita